All of the following testicular tumours are germ cell tumours EXCEPT
1. Seminoma
2. Teratoma
3. Choriocarcinoma
4. Sertoli cell tumour

Correct answer: 4. Sertoli cell tumour

Explanation: Testicular carcinoma Bilateral in 10% of cases, Abdominal cryptorchid testes are at higher risk as compared to inguinal cryptorchid testes Testicular feminization syndrome increases the risk of testicular germ cell tumour MC Ca of testes in young: Seminoma MC Ca in elderly: Lymphoma MC Ca in infants: Yolk sac tumour Seminoma Radiosensitive, Corresponds to dysgerminoma of ovary & Treatment of choice is: Surgery Ref : Bailey and love surgery text book 27th Ed.